Vector for Japanese Encephalitis is:
1. Aedes mosquito
2. Anopheles mosquito
3. Culex mosquito
4. Mansonides mosquito

Correct answer: 3. Culex mosquito

Explanation: Ans. C i.e. Culex mosquito Domestic pigs and wild birds (herons) are reservoirs of the JE virus. Amongst the most important vectors of this disease are the mosquitoes Culex tritaeniorhynchus and Culex vishnui.